All of the following are composite muscles except?
1. Pectineus
2. Rectus femoris
3. Adductor magnus
4. Biceps femoris

Correct answer: 2. Rectus femoris